Which of the following type of vibrio is not halophilic?
1. V. alginolyticus
2. V. cholerae
3. V. fluvialis
4. V. parahaemolyticus

Correct answer: 2. V. cholerae

Explanation: Halophilic vibrios are those which require higher concentration of sodium chloride. They are natural inhabitants of seawater and marine life. The three major halophilic vibrios that are known to cause infections in humans are Vibrio parahemolyticus, Vibrio alginolyticus and Vibrio vulnificus. Ref: Textbook of Microbiology and Immunology By Parija, Page 315; Water Borne Pathogens By American Water Works Association, Pages 153-4